All are components of charcot's triad, EXCEPT:
1. Obstructive jaundice
2. High grade fever with chills and rigor
3. Right upper quadrant pain
4. Hypotension

Correct answer: 4. Hypotension

Explanation: MUST KNOW: Charcot's triad of jaundice, abdominal pain, and fever is present in about 70% of patients with ascending cholangitis and biliary sepsis. It is managed initially with fluid resuscitation and intravenous antibiotics. Biliary drainage should be established at the earliest, typically by ERCP. ALSO KNOW: Charcot's triad + shock and confusion is Reynolds's pentad in biliary sepsis. It is associated with high mortality rate and should prompt an urgent intervention to restore biliary drainage. Ref: Harrison, Edition-18, Page-2418.